All of the following are x linked recessive disorder except?
1. Chronic granulomatous disease
2. Fragile x syndrome
3. Lesch Nyhan syndrome
4. Ataxia Telangiectasia

Correct answer: 4. Ataxia Telangiectasia

Explanation: Ataxia Telangiectasia is an autosomal recesive disorder.